A young man presents with an accident leading to loss of hearing in the right ear. On otoscopic examination, the tympanic membrane was intact. Pure tone audiometry shows an Air - Bone gap of 55 dB in the right ear with normal cochlear reserve. Which of the following will be the likely tympanometry finding?
1. As type tympanogram
2. Ad type tympanogram
3. B type tympanogram
4. C type tympanogram

Correct answer: 2. Ad type tympanogram

Explanation: The threshold of bone conduction is a measure of cochlear function in pure tone audiometry. The difference in the thresholds of air and bone conduction (A-B) is a measure of the degree of conductive deafness. Here this patient is having a normal cochlear function. So A-B gap of 55 dB will be because of defect in air conduction. Otoscopic examination showed an intact tympanic membrane means the ossicular discontinuity will be the reason for the hearing loss. Therefore the tympanometry finding in this patient will be Ad type tympanogram.